Absorption of vitamin A can be enhanced by giving the child a diet rich in –
1. Fat
2. Protein
3. Minerals
4. Carbohydrates

Correct answer: 1. Fat